True about Myeloma is all, except -
1. Plasma cell clonal proliferation
2. Common after 50 yrs of age
3. Amyloidosis can occur
4. Protein casts in urine are made up of complete Ig chains

Correct answer: 4. Protein casts in urine are made up of complete Ig chains